The major hemoglobin present in an adult is:
1. HbA2
2. HbA1
3. HbA1c
4. HbA1b

Correct answer: 2. HbA1

Explanation: - Major Hb present in adult is HbA1 - contain 2a and 2b chains. - Other Hb present in normal adult -3% HbA2 ;1% HbF